If odd's ration is one then
1. High association
2. Low association
3. False statement
4. None

Correct answer: 4. None